The ideal treatment for metastatic choriocarcinoma in the lungs in a young women is:
1. Chemotherapy
2. Surgery with radiation
3. Surgery
4. Wait and watch

Correct answer: 1. Chemotherapy

Explanation: “Unlike other malignant lesion, the treatment of choriocarcinoma is mainly chemotherapy, both for local and distant metastasis.”
Shaw 14/e, p 235